which of the following is true regarding nuclear bag fibres of motorunit ?
1. responds to length only
2. responds to both length and velocity changes
3. responds to contraction of muscle fibres
4. responds to reflex relaxation

Correct answer: 2. responds to both length and velocity changes

Explanation: Two types of intrafusal fibres -- nuclear bag fibre * primary (la) afferent -- supplies annulospiral ending in the centre -- provide information on muscle length and velocity (phasic response) fast stretch reflex -- nuclear chain fibre * primary (la) and secondary (II) afferent -- supplies flower spray ending -- monitor the length of the muscle (tonic response) --slow stretch reflex ref : guyton and hall